Penicillamine is commonly used in the management of following heavy metal poisoning except
1. Arsenic
2. Copper
3. Lead
4. Mercury

Correct answer: 1. Arsenic